A Female patient aged 40 years comes for routine general examination. Full mouth radiographs are taken. Oval shaped radiolucent areas are seen in the root canals of maxillary central incisors Teeth are asymptomatic and show feeble response to vitality tests.

What is your choice of medicament?
1. Formocresol
2. Calcium hydroxide
3. CMCP
4. MTA

Correct answer: 2. Calcium hydroxide